Which of the following is not seen in humans
1. Estrous Cycle
2. Menstrual Cycle
3. Endometrial cycle
4. Ovarian Cycle

Correct answer: 1. Estrous Cycle

Explanation: Ans (a) Estrous Cycle(Ref: Ganong, 25th ed/p.403)Estrous Cycle is seen in animals.It has three phases namely,#Proestrus - ovarian follicle enlarges#Estrus - period of sexual receptivity#Metestrus - postovulatory phase#Diestrus - a short period of inactivity before next proestrus